Sadism is?
1. Painful sex
2. Having intercourse with an animal
3. Anal intercourse
4. Sexual intercourse with dead bodies

Correct answer: 1. Painful sex

Explanation: Ans is 'a' i.e. Painful sexSadism:o Sexual gratification is obtained or increased from acts ofphysical cruelty or infliction ofpain on one's partner.o It is seen more commonly in men. To obtain sexual gratification, the sadist may bite, beat, whip, produce cuts on the victim, etc.Other options:o Having intercourse with an animal - Bestialityo Anal intercourse - Sodomyo Sexual intercourse with dead bodies - Necrophilia